Following is rich in linoleic acid:
1. Groundnut oil
2. Linseed oil
3. Safflower oil
4. Sunflower oil

Correct answer: 3. Safflower oil

Explanation: Ans. C i.e. Safflower oil